In "bounce home" test of knee joint, end feel is described as all except?
1. Bony
2. Empty
3. Springy
4. Firm

Correct answer: 2. Empty

Explanation: End point in bounce home test may be :-

(i) Springy,
(ii) Bony hard,
(iii) Firm.
Empty end-feel is not seen in bounce home test.
Empty end-feel implies: the examiner feels no restriction to movement, the patient stops the movement due to severe pain. An example is shoulder impingement, in which pain from the supraspinatus tendon being compressed will limit how far the arin can be abducted. Mechanically there is no further restriction, but the pain will prevent the individual from allowing further motion.